Early maxillary carcinoma presents as:
1. Bleeding per nose
2. Supraclavicular lymph node enlargement
3. Tooth pain
4. All of the above

Correct answer: 1. Bleeding per nose

Explanation: Ans. A Bleeding per nose Early features of maxillary carcinoma are blood stained nasal discharge, nasal stuffiness, facial pain or paresthesias, and epiphora.